All of the following are branches of splenic artery, except?
1. Hilar branches Short Gastric Artery
2. Short Gastric Artery
3. Arteria Pancreatica Magna
4. Right Gastroepiploic Artery

Correct answer: 4. Right Gastroepiploic Artery

Explanation: Right Gastroepiploic artery is a branch of superior mesentric artery, a branch of hepatic artery. The left Gastroepiploic artery is a branch of splenic artery which anastomoses with the right Gastroepiploic artery. Ref: Gray's anatomy text book of anatomy BD chaurasia 21st Ed.